A patient came to OPD with a stamping gait. On examination,when he was asked to close his eyes and walk, he fails to walk. Which of the following tracts is most probably affected?
1. Spinocerebellar tract
2. Vestibulospinal tract
3. Posterior column tract
4. Rubrospinal tract

Correct answer: 3. Posterior column tract

Explanation: Patients manifest progressive ataxia and signs of posterior column dysfunction (impaired joint position and vibratory sensation) Due to posterior column dysfunction ,proprioception is impaired resulting in incordination of motor movements leading to ataxia and stamping gait It can be a manifestation of Vitamin E and vitamin B12 deficiency or peripheral neuropathy due to Diabetes mellitus.